Peripheral neuritis with characteristic ‘wrist drop’ or 'foot drop' is seen in:
1. Lead poisoning
2. Mercury poisoning
3. Copper poisoning
4. Bismuth poisoning

Correct answer: 1. Lead poisoning

Explanation: Lead intoxication is manifested by serious gastrointestinal disturbances which include nausea, vomiting, colic, and constipation. A peripheral neuritis also develops which may produce the characteristic wrist-drop or foot-drop. 
Ref: Shafer's textbook of oral pathology 7th edition page 558